All the following are true about C-Reactive protein except:
1. CRP is a positive APR
2. It belongs to beta globin family
3. CRP is so named because it precipitates with C-Carbohydrate antigen of pneumococcus
4. It is specific to pneumococcal infections

Correct answer: 4. It is specific to pneumococcal infections

Explanation: It is non-specific, can be raised in any inflammatory conditions.